Villous pattern is lost in :
1. Invasive mole
2. Tubal mole
3. Hydatidiform mole
4. Choriocarcinoma

Correct answer: 4. Choriocarcinoma

Explanation: Choriocarcinoma